Glucose is reabsorbed in which part ?
1. Early PCT
2. Henle loop
3. Collecting duct
4. Distal convoluted tubule

Correct answer: 1. Early PCT

Explanation: option a - 100% Glucose is reabsorbed from PCT by secondary active transport, with the help of SGLT (Sodium Dependent Glucose Transporter).